Treatment of Hirsutism in PCOD, Drug used is :
1. Menopausal Gonadotropin
2. GnRH
3. Spironolactone
4. Hcg

Correct answer: 3. Spironolactone

Explanation: In PCOD with Hirustism,drugs given are; a.oral contraceptive b.anti androgens Antiandrogens in PCOD Used are spironolactone, cyproterone acetate, Flutamide and Finasteride Spironolactone in a dose of 100-200 mg daily, blocks the androgen receptors, reduces it production and increases its metabolism and thus prevents hirsutism in 60%cases. It is best given with combined oral pills to avoid irregular menstruation and possible feminisation of male fetus during therapy Maintainance dose after 6-12 months is 50mg of spironolactone with oral pills Ref : SHAW'S TEXTBOOKOF GYNECOLOGY; 15th edition; Pg no:117